CANCA is associated with -
1. Wegener's granulomatosis
2. Microscopic poly angitis
3. Chrug strauss syndrome
4. Good pasture syndrome

Correct answer: 1. Wegener's granulomatosis

Explanation: Ans. is 'a' i.e., Wegener's granulomatosisANCACytoplasmic staining (c-ANCA)Perinuclear staining (p-ANCA)Antigen here is proteinase-3Seen in conditions likeo Wegener's granulomatosisAntigen is myeloperoxidase (MPO) Seen in conditions likeo Microscopic poiyangitiso Churg-Strauss syndromeo Goodpasture's syndromeo Crescentic glomerulonephritiso Ulcerative colitiso Primaiy selerasing cholangitiso Drugs (hydralazine, propvthiouracil